DOC for prophylaxis against Diphtheria
1. Cloxacillin
2. Ciprofloxacin
3. Rifampicin
4. Erythromycin

Correct answer: 4. Erythromycin

Explanation: Chemoprophylaxis against Diphtheria:- * Close contacts are subjected to throat cultures to establish their carrier status. * Irrespective of culture results, all contacts are started on chemoprophylaxis. Chemoprophylaxis Drug options: * Oral Erythromycin (1g/day for adults; children - 40mg/Kg/day): once a day for 7-10 days in patients over 6 months of age. * IM Benzathine Penicillin G (1.2 MU) one dose for contacts >6 years. Half the dose in paediatric contacts less than 6 years. * Apart from Chemoprophylaxis, Immunization of the Contacts of Diphtheria patients is based on their vaccination status. Diphtheria antitoxin vaccine is given to contacts if their vaccination status is uncertain or questionable. Ref:- Harrisons Principles of Internal Medicine 20th Ed; Pg Num:- 1098